A Patient has a habit of bruxism, which of the following type of pontic should be given in such a patient:
1. Metal ceramic pontic
2. All- Metal pontic.
3. Resin veneered pontic.
4. All of the above.

Correct answer: 2. All- Metal pontic.

Explanation: Because All Metal pontics have high strength.